Skin is not involved in ?
1. Erythropoietic porphyria
2. Porphyria cutanea torda
3. Acute intermittent porphyria
4. Hereditary coproporphyria

Correct answer: 3. Acute intermittent porphyria

Explanation: Ans. is 'c' i.e., Acute intermittent porphyria Type of Porphyria Neuropsychiatric symptoms Skin symptoms/Phototoxicity Hepatic porphyrias Acute intermittent porphyri a 5-ALA dehydratase deficiency Hereditary coproporphyria Variegate porphyria Porphyria cutanea tarda + + + + _ _ _ + + + Erythropoietic porphyrias Erythropoietic protoporphyria Congenital erythropoietic porphyria X-linked sideroblastic anemia _ _ _ + + _